Which of the following is TRUE regarding globi in a patient with lepromatous leprosy?
1. Consists of lipid laden macrophages
2. Consists of activated lymphocytes
3. Consists of macrophages filled with AFB
4. Consists of neutrophils filled with bacteria

Correct answer: 3. Consists of macrophages filled with AFB

Explanation: Acid fast mycobacterium leprae bacilli may lie extracellularly and intracellularly in large undifferentiated histiocytes known as virchow's lepra cells or foamy cells. These bacilli are bounded together by lipid like substances the glia forming masses known as Globi. Because of abundant bacteria lepromatous leprosy is referred to as multibacillary. Ref: Harrison's Principles of Internal Medicine, 18th Edition, Chapter 166